A young man, home on leave from the military, went camping in the woods to detect deer movement for future hunting. Ten days later, he developed fever, malaise, and myalgia. Leukopenia and thrombocytopenia were observed, as well as several tick bites. Which of the following statements best describes human monocytic ehrlichiosis (HME)?
1. Clinical diagnosis is based on the presence of erythema migrans (EM)
2. Diagnosis is usually made serologically but morulae may be seen in the cytoplasm of monocytes
3. It is a fatal disease transmitted by the bite of a dog
4. Symptoms include vomiting and paralysis

Correct answer: 2. Diagnosis is usually made serologically but morulae may be seen in the cytoplasm of monocytes

Explanation: HME, caused by the bite of the tick Amblyomma americanum infected with E. chaffeensis, causes an illness not unlike RMSF, except a rash usually does not occur. Diagnosis is usually made serologically, and treatment of choice is tetracycline. Symptoms include high fever, severe headache, and myalgias. EM is the characteristic skin lesion seen in Lyme disease. HME is transmitted by a tick vector, as mentioned previously, and not by a dog bite. Vomiting and paralysis are not usual symptoms seen in HME cases. Cultures can be isolated using tissue culture cell lines, but not artificial media (agar, broth, etc.).